All of the following enzymes are regulated by calcium or calmodulin, except:
1. Adenylate cyclase
2. Glycogen synthase
3. Guanylyl cyclase
4. Hexokinase

Correct answer: 4. Hexokinase

Explanation: Adenyl cyclase, guanylate cyclase and glycogen synthase enzymes (but not hexokinase) are activated by calcium and calmodulin.